Which survey has the purpose of examining fractures of the condylar neck of the mandible:
1. Lateral jaw projection
2. Lateral skull projection
3. Waters projection
4. Reverse-Townes view

Correct answer: 4. Reverse-Townes view